Virus associated with cancer cervix:
1. . HPV
2. HIV
3. EBV
4. HTLV

Correct answer: 1. . HPV